Recurrent laryngeal nerve is in close association with?
1. Superior thyroid artery
2. Inferior thyroid artery
3. Middle thyroid vein
4. Superior thyroid vein

Correct answer: 2. Inferior thyroid artery

Explanation: Ans. is (b) i.e. Inferior thyroid artery Inferior thyroid artery is a branch of the thyrocervical trunk. During its course it passes behind the carotid sheath and the middle cervical sympathetic ganglion and its terminal part is related to the recurrent laryngeal nerve. More Questions about arterial supply of the thyroid gland The thyroid gland in supplied by the following arteries i) Superior thyroid artery a branch of the external carotid artery lies in close association with the external laryngeal nerve. ii) Inferior thyroid artery a branch of the thyrocervical trunk (which arises from the subclavian artery) its terminal part is intimately related to the recurrent laryngeal nerve. Major supply of the parathyroid glands iii) Acessory thyroid arteries - arise from tracheal and esophageal arteries v) Thyroidea ima artery (or the lowest thyroid artery) - found in only about 3% of individuals - arises from the brachicephalic trunk or directly from the arch of aorta. During thyroidectomy the superior thyroid artery is ligated near to gland (to save the external laryngeal nerve); and the inferior thyroid artery is ligated away from the gland (to save the recurrent laryngeal nerve) Questions on venous drainage of thyroid gland The thyroid gland is drained by the following veins i) Superior thyroid vein. - Drains in the internal jugular vein or - the common facial vein ii) Middle thyroid vein - Also drains in the internal jugular vein iii) Inferior thyroid vein - Drains into the left brachiocephalis vein iv) A fourth thyroid vein (of Kocher), - may emerge between middle and inferior veins and - drains into the internal jugular vein